Non - bias study is -
1. Case control study
2. Cohort study
3. Randomized controlled trials
4. Unrandomized trials

Correct answer: 3. Randomized controlled trials

Explanation: .
randomised control trials mainly include dtrawing up a protocol,selecting reference and experimental populations ,randomisation,manipulation or intervention ,follow up, assessment of outcome.RCT s are generally described as non biassed studies as they give no chance of any systemic error in the determination of association between exposure and disease.

ref:park's textbook of preventive and social medicine,22 nd edition ,pg no 70